Co-arctation of aorta may be associated with all of the following except -
1. Bicuspid aortic value
2. Turner syndrome
3. Renal artery stenosis
4. PDA

Correct answer: 3. Renal artery stenosis